Cyclosporine in nephrotic syndrome acts by -
1. Inhibiting calcineurin
2. Inhibition of GMPD
3. Acts as an alkylating agent
4. Antibiotic

Correct answer: 1. Inhibiting calcineurin

Explanation: Ans. is 'a' i.e., Inhibiting calcineurin Stroid dependent nephrotic syndromeo The treatment options for steroid resistant nephrotic syndrome are:i) Calcineurin inhibitors (cyclosporine, Tacrolimus)ii) IV or oral cyclophosphamideiii) Levamisoliv) Mycophenolatev) Pulse corticosteroido All above immunosuppressants are used along with corticosteriods (Prednisolone or methylprednisolone).o Cyclosporine and cyclophosphamide are most commonly used.o Despite these options, there is lack of consensus on first line appropriate therapy for steroid resistant nephrotic syndrome.